Tiotropium is contraindicated in:
1. Bronchial asthma
2. Hypertension
3. Urinary retention
4. Peptic ulcer disease -

Correct answer: 3. Urinary retention

Explanation: Ref:KD Tripathi pharmacology 7th edition (page.no: 114,115,117) Actions of Tiotropium bromide are - bronchodilatation, Decreased gastric secretion so, it's not contraindicated in peptic ulcer Tiotropium acts on M3 receptors- block them and cause urinary retention. so it is contraindicated in urinary retention.